History of excessive thirst, hunger, micturition during nights and recent loosening of teeth usually indicate that the patient is suffering from:
1. Hypertension
2. Hyperthyroidism
3. Diabetes mellitus
4. Glomerulonephritis

Correct answer: 3. Diabetes mellitus